FALSE statement about Brachial plexus
1. Posterior cord gives main supply to radial nerve
2. Axillary nerve arises from posterior cord
3. Long thoracic nerve arises from posterior cord
4. C5 and C6 roots join to form upper trunk

Correct answer: 3. Long thoracic nerve arises from posterior cord

Explanation: (C) Long thoracic nerve arises from posterior cord POSTERIOR CORD BRANCHESNameRootsSuppliesUpper Subscapular NerveC7-C8Subscapularis muscle of the rotator cuffLower Subscapular NerveC5-C6Teres majorThoracodorsal NerveC6-C8Latissimus dorsi muscleAxillary NerveC5-C6Deltoid and Teres minorRadial NerveC6-C8Triceps brachii muscle, Brachio-radialis muscle, Extensor muscles of the fingers and wrist (Extensor carpi radialis muscle), and Extensor and Abductor muscles of the thumb # Long thoracic nerve innervates serratus anterior. Overhead abduction is not possible in paralysis of nerve to serratus anterior.> This muscle is helpful in pushing + punching actions.> Touch the opposite shoulder: This is Dugas test for Anterior dislocation of shoulder.> Lift a heavy object from the ground: This will require many muscles and is not used specifically for any single muscle.> Shrug the shoulders test: trapezius (supplied by Spinal accessory nerve).# Posterior Cord Branches STAR - Subscapular (upper and lower), Thoracodorsal, Axillary, Radial ULTRA- Upper subscapular, Lower subscapular, Thoracodorsal, Radial, Axillary> Lateral Cord Branches LLM "Lucy Loves Me" - Lateral pectoral, Lateral root of the median nerve, Musculocutaneous> Medial Cord Branches MMMUM "Most Medical Men Use Morphine" - Medial pectoral, Medial cutaneous nerve of arm, Medial cutaneous nerve of fire- arm, Ulnar, Medial root of the median nerve